Best fertility result in-
1. Bicomuate
2. Unicomuate
3. Septate
4. Arcuate

Correct answer: 4. Arcuate

Explanation: Ans. is 'd' i.e., Arcuate Delivery rate and uterine malformationso The overall term delivery rate with uterine malformations is poorer and obstetrical complicaions are more common.o Arcuate uterus has the best reproductive outcome with the live birth rates similar to normal uterio The live birth rate with septate and bicomuate uterus is about 62%.o Unicornuate and didephys uterus have live birth rate of 40%.